Investigation of choice in bronchiectasis
1. MRI
2. HRCT
3. bronchoscopy
4. chest x-ray

Correct answer: 2. HRCT

Explanation: Ans: b (HRCT)Second investigation of choice (earlier): Bronchography (not Bronchoscopy)HRCT signs:Honeycomb patternTram-track patternGrape cluster patternTooth paste patternSignet ring patternVery importantSome Investigations of choice:Bronchiectasis :HRCTRenal TB (early) :IVPRenal TB (advanced) :CT>IVPRenal calculus :Non contrast Helical CT scanDental pathology andTM joint pathology :pantamogramPregnant lady with upper abdominal mass :MRIPosterior urethral valve and VUR :MCU (Micturating cystourethrogram)Osteoporosis :DEXA